Primary prevention includes:a) Marriage counselingb) Health educationc)  Pap smeard)  Self breast examinatione)  Health promotion
1. cb
2. bad
3. abe
4. da

Correct answer: 3. abe